Treatment of choice for congenital glaucoma with corneal ulcer –
1. Trabeculotomy
2. Goniotomy
3. Miotics
4. Steroids

Correct answer: 1. Trabeculotomy

Explanation: Trabeculotomy is particularly useful when corneal clouding prevents visualization of the angle (as in this question due to present of corneal ulcer).